An example of scleroprotein is
1. Zein
2. Keratin
3. Glutenin
4. Ovoglobulin

Correct answer: 2. Keratin

Explanation: Scleroproteins: They are insoluble in water, salt solutions and organic solvents and soluble only in hot strong acids. They form supporting tissues, e.g. collagen of bone, cartilage and tendon; keratin of hair, horn, nail and hoof. Keratin is one of the examples.
Reference: Vasudevan 7th  ed, pg 43